First released immunoglobulin after primary immunization
1. IgD
2. IgE
3. IgG
4. IgM

Correct answer: 4. IgM